Commonest type of seizure in newborn
1. Clonic
2. Tonic
3. Subtle
4. Myoclonic

Correct answer: 3. Subtle

Explanation: Hypoxic-ischemic encephalopathy : It is an important cause of neonatal seizures. Seizures resulting from hypoxic-ischemic encephalopathy may be seen in term and prematureinfants. They frequently present within the first 72 hours of life.Seizures may include subtle, clonic, or generalized seizures. These are subtle seizure . There are 4 major types of seizures in neonates: Subtle seizures are relatively common in the neonatal period and are more often encountered in the preterm than full term infant. Such seizures include oral-buccal-lingual movements, certain ocular phenomena, peculiar limb movements, autonomic alterations and apnea. Clonic seizures include focal and multifocal varieties which may migrate to another part of the body in a non-ordered fashion. Tonic seizures include focal episodes (less common) and generalized episodes (more common). Generalized tonic seizures may mimic decerebrate and decorticate posturing. Myclonic seizures may be focal, multifocal or generalized and are the least common of the four varieties during the neonatal period. Reference: GHAI Essential pediatrics, 8th edition